Contents of spermatic cord are all, EXCEPT:
1. Vas deferens
2. Cremastric artety
3. Genital branch of the genitofemoral nerve
4. Ilioinguinal nerve

Correct answer: 4. Ilioinguinal nerve

Explanation: Contents of spermatic cord:Arteries: testicular artery, deferential artery, cremasteric arteryNerves: nerve to cremaster (genital branch of the genitofemoral nerve), testicular nerves (sympathetic nerves)Vas deferensPampiniform plexusLymphatic vesselsTunica vaginalis (remains of the processus vaginalis)